Preload is increased by
1. Increased blood volume
2. Increased total peripheral resistance
3. Standing
4. Sitting

Correct answer: 1. Increased blood volume

Explanation: The amount of pressure on the muscles before the contraction starts is the preload. In regards to heart, preload is the amount of pressure on the ventricles at the end of diastole. That is the amount of blood which remains in the ventricles at the end of the diastole.